Most common blood transfusion reaction is:
1. Febrile non-hemolytic transfusion reaction
2. Hemolysis
3. Transmission of infections
4. Electrolyte imbalance

Correct answer: 1. Febrile non-hemolytic transfusion reaction

Explanation: The most frequent reaction associated with the transfusion of cellular blood components is a febrile non-hemolytic transfusion reaction (FNHTR). - In form of fever and chills, sometimes with mild dyspnea, within 6 hours of a transfusion of red cells or platelets. - Caused by inflammatory mediators derived from donor leukocytes. - The frequency of these reactions increases with the storage age of the product and is decreased by measures that limit donor leukocyte contamination. - Symptoms respond to anti-pyretics and are short-lived.